Leptospira is a
1. Virus
2. Fungus
3. Spirochete
4. Rickettsiae

Correct answer: 3. Spirochete

Explanation: Ans. c (Spirochete). (Ref. Harrison, Chap. 171)LEPTOSPIROSIS# Leptospira is a spirochetal organism causing leptospirosis or Weils disease.# It is characterized by renal failure, jaundice and fever.# It disappears from blood after 1st week, blood examination is helpful only in early stages.# EMJH media can be used to cultivate them.# Microscopic agglutination is specific for it, but done in reference labs.# Immunofluroscence has no role.